'Cavett; test is used for the detection of____ blood:
1. Barbiturates
2. Alcohol
3. Opiates
4. Cyanides

Correct answer: 2. Alcohol

Explanation: Ans. (B). Alcohol(Ref: Review of Forensic Medicine and toxicology; Gautum Biswas; 2nd edition; Pg - 553)Methods to find blood and urine alcohol levelsCavetttestQAlcohol dehydrogenase methodKozelka and Hine testGas chromatography (most specificQ)Breath analyzer